DPT is contraindicated in which of the following conditions:
1. Family history of convulsions
2. Acute respiratory tract infection
3. Progressive neurological illness
4. Cerebral palsy

Correct answer: 3. Progressive neurological illness

Explanation: Ans. C. Progressive neurological illnessMost adverse effects of DPT vaccine are due to the Pertussis component. Minor adverse effects like pain, swelling and redness at the local site, fever, fussiness, anorexia and vomiting are reported in almost half the vaccines after any of the 3 primary doses. Absolute contraindications to any pertussis vaccination (including DTwP vaccine) are history of anaphylaxis or development of encephalopathy within 7 days following previous DTwP vaccination. Progressive/evolving neurological illnesses is a relative contraindication to first dose of DTwP immunization. However, DTwP can be safely given to children with stable neurologic disorders such as Cerebral palsy.